which of the following is the use of NDRI
1. hypoactive sexual desire
2. smoking sessation
3. ADHD
4. all of the above

Correct answer: 4. all of the above

Explanation: NDRI * IMPOANCE Anti-depressant which does not deal with serotonin neurotransmission Also called as Zyban * MECHANISM Prevents reuptake of nor adrenaline and dopamine * DRUGS Bupropion * USE ADHD SMOKING CESSATION HYPOACTIVE SEXUAL DESIRE DISORDER * SIDE EFFECTS seizures Ref. kaplon and sadock, synopsis of psychiatry, 11 th edition, pg no. 955